Swiss cheese pattern endometrium is seen in
1. Carcinoma endometrium
2. Metropathia hemorrhagica
3. Hydatidiform mole
4. Halban's disease

Correct answer: 2. Metropathia hemorrhagica

Explanation: Ans. (b) Metropathia hemorrhagica(Ref: Textbook of gynecology by Rao:65)Metropathia hemorrhagicaAnovulatory DUB associated with endometrial hyperplasia with acyclical bleedingOvergrowth of endometrial stroma and glands producing swiss cheee appearance